Tribadism is:
1. Man having anal sex with man
2. Woman having sex with woman
3. Man having anal sex with women
4. Women having sex with animal

Correct answer: 2. Woman having sex with woman

Explanation: Ans. Woman having sex with woman